What is the anatomical relation of the upper lacrimal punctum with respect to the lower punctum?
1. Medial
2. Lateral
3. Apposed
4. No relation

Correct answer: 1. Medial

Explanation: The lacrimal puncta are located medially on the upper and lower eyelids, on the lacrimal papilla and the upper punctum is medial to the lower punctum. The puncta are apposed only during the closure phase of blinking, Normally.The PAS (punctual apposition syndrome) represents the situation in which at any stage during the blinking cycle, other than when the puncta actively appose during the closure phase of blinking, the puncta are apposed and the patient experiences watering